The movement at the following joint permits a person to say NO by head movement:
1. Atlanto-occipital joint
2. Atlanto-axial joint
3. C2-C3 joint
4. C3-C4 joint

Correct answer: 2. Atlanto-axial joint

Explanation: Ans. (b) Atlanto-axial jointRef: Gray's 38th ed/521* Atlanto-occipital (between skull and Cl) joint permit nodding of head (as when indicating approval or yes) and,* Atlantoaxial joint permits the head to be turned from side to side i.e. rotation (as indicating disapproval, the NO movement).